Causes of diffuse hyperpigmentation include all of the following except?
1. Busulfan administration
2. Nelsons syndrome
3. Addison disease
4. Hermansky-Pudlak Syndrome

Correct answer: 4. Hermansky-Pudlak Syndrome

Explanation: Busulfan administration Busulfan, cyclophosphamide, 5-fluorouracil, and inorganic arsenic induce pigment production and cause diffuse hyperpigmentation Nelson's syndrome Increased ACTH (Which has partial MSH activity) due to bilateral adrenalectomy Addison's disease Increased ACTH (Which has partial MSH activity) due to destruction of adrenal cortex and low cortisol Hermanksy- Pudlak syndrome Autosomal recessive disorder which results in oculo-cutaneous albinism (decreased pigmentation), and bleeding problems due to a platelet abnormality (platelet storage pool defect)